Brunner's glands are located in the
1. Duodenum
2. Jejunum
3. Ileum
4. All

Correct answer: 1. Duodenum

Explanation: A i.e. Duodenum